The commonest vector of plague is:
1. Xenopsylla cheopis
2. Musca domestica
3. Xenopsylla astia
4. Pulex irritans

Correct answer: 1. Xenopsylla cheopis

Explanation: Xenopsylla cheopis is the commonest and the most efficient vector of plague. Other vectors include Xenopsylla astia, Xenopsylla brasiliensis and Pulex irritans. Ref: Park 21st edition: page 268.